The aetiology of anterior ethmoidal neuralgia is:
1. Inferior turbinate pressing on the nasal septum
2. Middle turbinate pressing on the nasal septum
3. Superior turbinate pressing on the nasal septum
4. Causing obstruction of sphenoid opening

Correct answer: 2. Middle turbinate pressing on the nasal septum

Explanation: Anterior ethmoidal nerve is a branch of nasociliary nerve (from ophthalmic division of CN V). It is distributed to anterior part of nasal septum and lateral nasal wall. Mucosal contact between nasal septum and middle turbinate causes headache. This headache can be relieved when mucosal surfaces are separated with application of a nasal decongestant such as xylometazoline or adrenaline and a local anaesthetic like lignocaine - a diagnostic test in these cases. Permanent treatment would be to surgically remove structural deformities, e.g. removal of spur or deflected septum and/or reduction of the size of turbinate.